All are components of gun-powder EXCEPT:
1. Charcoal
2. Lead peroxide
3. Potassium nitrate
4. Sulphur

Correct answer: 2. Lead peroxide

Explanation: Gun Powder is of two types: a) Black gun powder: Contains Potassium nitrate 75% + Charcoal 15% + sulphur 10% b) Smokeless Powder is of following types: -Single Base: Contains nitrocellulose -Double Base: contains nitrocellulose + nitroglycerine -Triple Base: Contains Nitrocellulose + Nitroglycerine + nitroguanidine